All of the following Drugs are used in treatment of chronic gout, except:-
1. Allopurinol
2. Benzbromarone
3. Pegloticase
4. Methotrexate

Correct answer: 4. Methotrexate

Explanation: Answer is D (Methotrexate): To Lower Uric Acid Levels (Hypouricemic Therapy) To decrease production of uric acid (Xanthine Oxidase Inhibitors) Allopurinol(Purine analogue) Febuxostat (Non-purine selective inhibitor of xanthine oxidase) To increase the excretion of uric acid (Uricosurics) Probenecid Sulfinpyrazone Benzbromarone To increase conversion of Uric acid to Allantoin which is far more soluble (Uricase) Pegloticase